Osseointegration was first defined by:
1. Bothe and Coworkers
2. Greenfield
3. Strock
4. Branemark

Correct answer: 4. Branemark